A group of 8 experts discussing and interacting about a topic in front of large audience is?
1. Workshop
2. Symposium
3. Semin ar
4. Panel discussion

Correct answer: 4. Panel discussion

Explanation: - panel discussion is a group approach in health communication. - in a panel discussion, 4-8 people who are qualified to talk about a topic sit and discuss a given problem or topic in front of a large group or audience. Reference : Park's textbook of preventive and social medicine, 23rd edition, pg no:865